The following can be done in obstructive jaundice -a) Vitamin K injectionsb) Vitamin C injectionsc) Dehydration therapyd) External drainage
1. b
2. ad
3. ac
4. ab

Correct answer: 2. ad